Which of the following is not a neural crest derivative?
1. Ciliary muscle
2. Melanocytes
3. Ciliary ganglion
4. Sphincter pupillae

Correct answer: 4. Sphincter pupillae

Explanation: Sphincter pupillae is derived from neurectoderm not mesenchyme or neural crest cell Neural Crest Derivatives: *Corneal Keratocytes *Ciliary muscles *Corneal stroma and endothelium (endothelial cells and keratocytes) *Pericytes of choroidal membranes *Melanocytes *Ciliary ganglion *Stroma of Iris and choroid Trabecular meshwork extraocular muscles are mesodermal in origin